Pancreatic cholera is characterized by all except:
1. Hypochlorhydria
2. Hypokalemia
3. Glucose intolerance
4. Hypocalcemia

Correct answer: 4. Hypocalcemia

Explanation: Answer is D (Hypocalcemia): Pancreatic cholera is a Pancreatic endocrine tumor, most commonly of the Delta cells, characterized by net secretion of salt and water by gut: Features of Pancreatic cholera : - Severe watery diarrhea Q / flushing / weight loss - Hypokalemia Q - Hypochlorhydria Q - Hypercalcemia Q (not Hypocalcemia) - Hyperglycemia Q - Inordinate fecal water and electrolyte loss - Pancreatic cholera is synonymous with 'Verner - Morrison Syndrome' or `WDHA Syndrome' WDHA Syndrome Watery diarrhea Hypokalemia Achlorhydria Pancreatic cholera results from excessive secretion of VIP from endocrine tumors i.e. VlPomas `VIP' is an important neurotransmitter ubiquitously present in CNS and G.I. tract Known actions of VIP explain most features of the clinical syndrome. These include : - stimulation of small intestinal chloride secretion - effects on smooth muscle contractility - inhibition of acid secretion - vasodilatory effects